"Dry submarine" in custodial injuries refer to
1. Beating on soles of feet
2. Tying a plastic bag over the head
3. Immersion of head in contaminated water
4. Suspending the accused by ankles

Correct answer: 2. Tying a plastic bag over the head

Explanation: Suffocation: Near-suffocation may occur by means of a plastic bag placed over the head of the victim ('dry submarine'). Ref - Krishan Vij textbook of forensic medicine and toxicology 5e pg - 193